Which is not true regarding withdrawal (flexion) reflex?
1. It has long latency
2. Afferents are Ia fibres
3. It is a Polysynaptic reflex
4. Response is non linear and usually widespread

Correct answer: 2. Afferents are Ia fibres

Explanation: The withdrawal reflex (nociceptive flexion reflex or flexor withdrawal reflex) is a spinal reflex intended to protect the body from damaging stimuli. The reflex rapidly coordinates the contractions of all the flexor muscles and the relaxations of the extensors in that limb causing sudden withdrawal from the potentially damaging stimulus. Spinal reflexes are often monosynaptic and are mediated by a simple reflex arc. A withdrawal reflex is mediated by a polysynaptic reflex resulting in the stimulation of many motor neurons in order to give a quick response Ref: guyton and hall textbook of medical physiology 12 edition page number:774,775,776